Boundaries of foramen of Winslow are all except
1. Caudate lobe of liver
2. Inferior vena cava
3. Free border of lesser omentum
4. 4th part of duodenum

Correct answer: 4. 4th part of duodenum

Explanation: Epiploic foramen, also called the foramen of Winslow, is a passage between the greater (general peritoneal space) and lesser sac (omental bursa) allowing communication between these two spaces. Ref - BDC 6e vol2 240